Which one of the following is an autosomal dominant disorder -
1. Colour - blindess
2. Haemophilia
3. Phenylketonuria
4. Tuberous sclerosis

Correct answer: 4. Tuberous sclerosis